Usual size of a chocolate cyst of the ovary is about-
1. 1 inch in diameter
2. 2 inches in diameter
3. 4 inches in diameter
4. 6 inches in diameter

Correct answer: 2. 2 inches in diameter

Explanation: It is 3 - 5 cms